Venous drainage from neurohypophysis is routed through all of the following except:
1. Portal vessels to adenohypophysis
2. Superior hypophyseal veins to ventricular tanycytes
3. Inferior hypophyseal veins to dural venous sinuses
4. Capillaries to median eminence and hypothalamus

Correct answer: 2. Superior hypophyseal veins to ventricular tanycytes

Explanation: B i.e. Superior hypophyseal Veins to ventricular tanycytes